All of the following are the disadvantages of anticancer drugs, Except
1. Low selectivity to cancer cells
2. Depression of bone marrow
3. Depression of angiogenesis
4. Depression of immune system

Correct answer: 3. Depression of angiogenesis

Explanation: Depression of angiogenesis is used to treat certain cancers like renal and lung carcinoma by inhibition of VEGF -eg: Sunitinib.Ref: Sharma and Sharma 2nd e / pg 852.